Lift off test is done to assess the function of:
1. Supraspinatus
2. Infraspinatus
3. Teres Minor
4. Subscapularis

Correct answer: 4. Subscapularis

Explanation: Subscapularis is one of the rotator cuff muscle in the shoulder. Lift off test is used to identify the patentcy of the subcapsularis muscle and to detect an isolated rupture of subscapularis tendon. Lift off test is also known as "Gerber's test". Ref: Examination of the Shoulder: The Complete Guide, Newyork, Page 231; Campbell's Orthopaedics, 11th Edition, Page 2607.